Non - noxious stimuli perceived as pain is termed as:
1. Allodynia
2. Hyperalgesia
3. Hyperesthesia
4. Hyperpathia

Correct answer: 1. Allodynia

Explanation: Terminology Sensory disturbance Allodynia Situation in which a non - painful stimulus, once perceived, in experienced as painful, even excruciating. An example is elicitation of a painful sensation by application of a vibrating tuning fork. Hyperalgesia Severe pain in response to a mildly noxious stimulus Hyperpathia Threshold for a sensory stimulus is increased and perception is delayed, but once felt, it is unduly painful. Broad term encompasses all the phenomena described by hyperesthesia, allodynia, and hyperalgesia.